If each value of a given group of observations is multiplied by 10, the standard deviation of the resulting observations is
1. Original std. Deviation / l0
2. Original std. Deviation × 10
3. Original std. Deviation – 10
4. Original std. Deviation it self

Correct answer: 2. Original std. Deviation × 10